A 22-year-old woman sustained a chest injury upon impact with the steering wheel during a car crash. Upon admission of the patient to the hospital, physical examination revealed profuse swelling, inflammation, and deformation of the chest wall. A radiograph revealed an uncommon fracture of the manubrium at the sternomanubrial joint. Which of the following ribs would be most likely to also be involved in such an injury?
1. First
2. Second
3. Third
4. Fourth

Correct answer: 2. Second

Explanation: The superior margin of the manubrium is characterized by the jugular notch. Laterally are the sternoclavicular joints and the articulations of the first ribs with the manubrium. The second pair of ribs articulates with the sternum at the sternal angle, the junction of the manubrium with the body of the sternum.